Lutembacher syndrome includes all the following except
1. Mitral stenosis
2. ASD
3. VSD
4. Left to right shunt

Correct answer: 3. VSD

Explanation: Lutembacher syndrome is defined as a combination of mitral stenosis and a left-to-right shunt at the atrial levelTypically, the left-to-right shunt is an atrial septal defect (ASD) of the ostium secundum varietyBoth these defects, ASD, and mitral stenosis can be either congenital or acquired.(Refer: OP Ghai's Textbook of Pediatrics, 8th edition, pg no. 401)